Most common cause of acquired AV fistula is
1. Bacterial infection
2. Fungal infection
3. Blunt trauma
4. Penetrating trauma

Correct answer: 4. Penetrating trauma

Explanation: . Ans : (d) Penetrating Trauma Penetrating injuries are the most common cause , but fistulas are sometimes seen after blunt trauma . Fungal and bacterial infections are not much common as penetrating trauma in acquired AV fistula.